Most common malignant eyelid tumor
1. Squamous cell CA
2. Basal cell CA
3. Sebaceous CA
4. Malignant melanoma

Correct answer: 2. Basal cell CA

Explanation: B i.e. Basal cell CA